Which of the following drugs require therapeutic drug monitoring?
1. Metformin
2. Propranolol
3. Warfarin
4. Phenytoin

Correct answer: 4. Phenytoin

Explanation: * Therapeutic drug monitoring is adjustment of dose of the drug according to its plasma concentration. It is required for A Aminoglycosides (e.g. gentamicin) Drug Digitalis Possessing Phenytoin (anti-epileptics) Low Lithium Therapeutic Tricyclic antidepressants Index Immunomodulators (e.g. cyclosporine)